The earliest sign of iron deficiency anaemia -
1. Increase in iron binding capacity
2. Decrease in serum ferritin level
3. Deorease in serum iron level
4. All the above

Correct answer: 2. Decrease in serum ferritin level

Explanation: Plasma ferritin is a measure of iron stores in tissues & is the single test to confirm iron deficiency .It is a very specific test. In the course of development of anaemia, firstly storage iron(ferritin) depletion occurs during which iron reserves are lost without compromise of the iron supply for erythropoiesis.

Plasma iron & total iron binding capacity(TIBC) are measures of iron availability ;hence they are affected by many factors besides iron stores.Plasma iron has a diurnal & day -to-day variation & becomes very low in acute phase response .